Spinal injury with no radiological finding is commonly seen in:
1. Children
2. Older men
3. Older woman
4. In middle aged

Correct answer: 1. Children

Explanation: (a) ChildrenSCIWORA:- Spinal Cord Injury Without Obvious Radiological Abnormality is seen in children due to flexibility of spine.